Which of the following is an aberrant epiphysis?
1. Coracoid process
2. Greater tubercle
3. Base of 1st metacarpal
4. Base of 2nd metacarpal

Correct answer: 4. Base of 2nd metacarpal

Explanation: Aberrant epiphysis is deviation from the normal anatomy and is not always present. For example, the epiphysis at the head of the first metacarpal bone and at the bases of other metacarpals Ref: Gray's39e/p185-210